The artery to the ductus dererens is a branch of?
1. Inferior epigastric artery
2. Superior epigastric artery
3. Superior vesical artery
4. Cremasteric artery

Correct answer: 3. Superior vesical artery

Explanation: The ductus deferens recieves its blood supply from the artery to ductus deferens which usually arises from the superior vesical artery. Occasionally it may arise from the inferior vesical artery.